Theophylline Overdose causes:
1. Bradycardia
2. Seizures
3. Drowsiness
4. Bronchospasm

Correct answer: 2. Seizures

Explanation: Theophylline has a narrow margin of safety. Adverse effects are primarily to the g.i.t., CNS and CVS. Children are able to develop CNS toxicity. Adverse effects include Dyspepsia, headache, nervousness, insomnia Restlessness, tremors, vomiting, palpitation, diuresis Agitation, tachypnoea, flushing, hypotension Death Convulsions, shock, arrhythmias Delirium, Increased muscle lone, extrasystoles, flashes of light seen. ESSENTIALS OF MEDICAL PHARMACOLOGY 6TH EDITION KD TRIPATHI Page No :221